A 5 year old child with unprovoked dog bite, appropriate management is
1. Anti Rabies vaccine given
2. Only Rabies Immunoglobulin at the site of bite
3. Observe the dog
4. Kill the dog and send brain for Biopsy

Correct answer: 1. Anti Rabies vaccine given